All the following agents may be used for the management of hypertensive crisis Except:
1. Furosemide
2. Nitroglyarine
3. Indapamide
4. Esmolal

Correct answer: 3. Indapamide

Explanation: Answer is C (Indapamide) Indapamide is a mild diuretic that may be used for treatment of mild to moderate hypertension. It is not effective in the treatment of hypertensive urgencies or emergencies. Drugs in the Management of Hypertensive Crisis Common Intravenous Agents (Used for Hypertensive Emergencies) Diuretics Furosemide Vosodilators Sodium Nitroprusside Nitroglycerine Fenoldapam Nicardipine Hydralazine Enolaprilant Adrenergic Inhibitors Phentolamine Esmolol Metaprolol Labetolol Urapidil Common Oral Agents (Used for Hypertensive Urgencies) Nifedipine (Not Recommended now) Nicardipine Israpidine Clonidine Coptopril Labetolol Hydralazine Nitroglycerine